Not a feature of paradoxical sleep is :
1. Decreased muscle tone
2. Rapid eye movements
3. Brain shows increased metabolism
4. EEG shows decreased activity

Correct answer: 4. EEG shows decreased activity

Explanation: D i.e. EEG shows decreased activity Features NREM REM Other names Synchronised or S-sleep/ Ohodox-Sleep/ Quiet-Sleep Desynchronized D-Sleep, A-wave/ Active-SleepQ, Paradoxical sleepQ EEG - Synchronized - Theta wave' (I) - Sleep spindles & K-ComplexQ (II) - Delta waveQ (III & IV) - Low voltage Fast activity Saw tooth wavesQ - Ponto- geniculo occipita spikes - Reappearance of alpha wavesQ EMG Partial relaxation AtoniaQ of antigravity & intercostal muscles Cerebral metabolism Brain temperature -I, t Q EOG Slow or Quiescent eye movement Rapid eye movementsQ Genital Tumescence Infrequent CommonQ Dreaming Infrequent Frequent Pathology Night terrorQ. Nocturnal eneurasisQ BruxismQ SomnambulismQ Somniloquy Night maresQ NarcolepsyQ